MEN I syndrome has all manifestations Except
1. Hyperparathyroidism
2. Zollinger-Ellison syndrome
3. Prolactinoma
4. Medullary cancer thyroid

Correct answer: 4. Medullary cancer thyroid

Explanation: Medullary carcinomas of the thyroid occur in MEN 2A and 2BMEN-1 is characterized by abnormalities involving the parathyroid (primary hyperparathyroidism), pancreas (Endoctine tumours like gastrinoma, insulinoma) and pituitary glands (prolactinoma)Robbins pathology 9e pg:1136